Snow bankng is typically seen in -
1. Pars planitis
2. Endophthalmitis
3. Coat's disease
4. Eale's disease

Correct answer: 1. Pars planitis

Explanation: Exudates of intermediate uveitis (pars planitis) coalesce to from a grey white plaque called snow banking. Ref: Khurana 7th/e p.167 & 4th/e p.161.